Pseudodementia is seen in?
1. Depression
2. Schizophrenia
3. Parkinsons disease
4. Dissociative disorder

Correct answer: 1. Depression

Explanation: Ans. (a) DepressionRef. Kaplan and sadock's synopsis of psychiatry: Behavioral sciences clinical psychiatry 10th ed. /339, table 10.3-11